Leser Trelat sign is associated with
1. CNS tumours
2. Lung cancer
3. Gastrointestinal tumors
4. Malignant melanoma

Correct answer: 3. Gastrointestinal tumors